G-6-PD deficiency causes
1. Leukemia
2. Hemolytic anemia
3. Hemophilia
4. None

Correct answer: 2. Hemolytic anemia

Explanation: GPD Deficiency i. The enzyme glucose-6-phosphate dehydrogenase (GPD) may be deficient in some persons. It is the most common enzyme deficiency seen in clinical practice. The defect is transmitted as an X-linked recessive trait. ii. It will lead to drug-induced hemolytic anemia. The deficiency is manifested only when exposed to certain drugs or toxins, e.g. intake of antimalarial drugs like primaquine. Primaquine stimulates peroxide formation inside RBC. In GPD deficient cells, the level of NADPH is low; hence further production of peroxides will lead to cell lysis.Ref: DM Vasudevan, 7th edition, page no: 134